Streptococcal pneumoniae presents at
1. <5 years
2. 5-15 years
3. 20-25 years
4. 30-40 years

Correct answer: 1. <5 years

Explanation: → Streptococcus pneumoniae is the leading cause of pneumonia, both lobar and bronchopneumonia.
→ Pneumonia is common at the extreme of ages:

Children (especially >5 years of age)
Elderly (>60 - 65 years)

→ Serotypes 6, 14, 18, 19 and 23 are responsible for most cases of pneumonia in children, while serotypes 1, 3, 4, 7, 8 and 12 cause pneumonia in adults.